Kelly's plication operation is done in:
1. Stress incontinence
2. Vault prolapse
3. Rectal prolapse
4. Uterine prolapse

Correct answer: 1. Stress incontinence

Explanation: Ans. is a, i.e. Stress incontinenceRef: Shaw 14th/ed, p174; Textbook of Gynae Sheila Balakrishnan 1st/ed, p330Kelly's plication/Kelley's stitch was the standard first line of treatment for SUI previously but due to low cure rates, it is not being done these days. 5-year failure rate for Kelly's plication is approximately 50%.